You are working at a PHC and you want to send a blood sample for glucose estimation. Which of the following anticoagulant will he have to use for accurate results?
1. EDTA
2. Potassium oxalate and NaF
3. Calcium Oxalate and Sodium Citrate
4. Trisodium citrate

Correct answer: 2. Potassium oxalate and NaF

Explanation: Potassium oxalate is anticoagulant and NaF (Sodium Fluoride) is antiglycolytic. They are used for blood collection for blood glucose estimation to obtain accurate results. Sodium Fluoride acts by inhibiting Glycolysis by inhibiting the enzyme enolase. If fluoride is not added cells will utilise glucose glycolysis during transport and a false value will be obtained. Ref: Textbook of Biochemistry for Medical Students by D.M. Vasudevan, 6th Edition, Page: 276